Which one of the following stains is specific for Amyloid?
1. Periodic Acidschif (PAS)
2. Alzerian red
3. Congo red
4. Von -Kossa

Correct answer: 3. Congo red

Explanation: Ans. is 'c' i.e., Congo Red "To differentiate amyloid from other hyaline deposits (eg. Collagen andfibrin), a variety of histochemical techniques are used, of which the most widely used is Congo Red " - Robbins 7th/e p. 259Staining for Amyloido Congo red : It is the most widely used specific stain for amyloid.o Iodine staining: It is used for unfixed specimen or histological section. Amyloid stains mahogany brown and if sulfuric acid is added, it turns violet.o Thioflavin 'T' and 'S' give secondary immunoflurescence with ultraviolet light. Thioflavin T is more useful for demonstrating juxtalomerular apparatus of the kidney,o Metachromatic stains like crystal violet and methyl violet give rose pink appearance,o Amyloid is PAS positive.